HLA complex is on chromosome?
1. 6
2. 7
3. 8
4. 9

Correct answer: 1. 6

Explanation: Ans. is 'a' i.e., 6 HLA complex of genes is located on the short arm of chromosome 6.